Pentostatin acts by inhibiting:
1. RNA dependent DNA polymerase
2. Aldolase
3. Adenosine deaminase
4. Adenylyl cyclase

Correct answer: 3. Adenosine deaminase

Explanation: * Pentostatin and cilastatin are not statins i.e. these do not act by inhibiting HMG-CoA reductase. * Pentostatin acts by inhibiting adenosine deaminase. * It is used for the treatment of hairy cell leukemia. * Drug of choice for hairy cell leukemia is cladribine.